All are features of somatic death, except:
1. Cessation of respiration
2. Cessation of heart
3. Non-responding muscles
4. No response to external stimuli

Correct answer: 3. Non-responding muscles

Explanation: Ans. Non-responding muscles